All the following are true about multiple myeloma except:
1. Osteolytic bone disease
2. t(8-14) translocation
3. Light chain proliferation
4. Bence-Jones proteins in urine

Correct answer: 2. t(8-14) translocation

Explanation: Answer is B (t (8-14) translocation) A variety of chromosomal alterations have been found in patients with Multiple myeloma. The most common translocation is t (11; 14) (q 13; q32). 13q14 deletions and 17p13 deletions and 11 q abnormalities predominate. Translocation 1(8-14) has not been mentioned. Complete Immunoglobulin chain comprises of both heavy chains and light chains. But in Multiple myeloma there is excess production of light chains e over heavy chains. These light chains are eliminated in urine as Bence Jones proteinQ Protein cast in urine are thus made up of light chains only Q (not complete immunoglobulin chains). Bone lesions in multiple myeloma are lytic in nature and are rarely associated with osteoblastic new bone formation.' - Harrison. Bone lesions in MM are caused by the proliferation of tumor cells and activation of osteoclasts that destroy the bone. 'Bone pain is the most common symptom in MM affecting 70% of patients Q'-Harrison